A 20 year old male come to causality with head injury. Examination reveals normal consciousness and blood in the tympanic membrane. Most likely cause is
1. Extradural hemorrhage
2. Subdural hemorrhage
3. Intraventricular hemorrhage
4. Basilar fracture

Correct answer: 4. Basilar fracture

Explanation: Ans. is 'd' i.e. basilar fracture